Substance P is increased is response pain in periphery by which of the following?
1. Mast cells
2. Endothelium
3. Plasma
4. Nerve terminals

Correct answer: 4. Nerve terminals

Explanation: Ans. (d) Nerve terminals(Ref: Ganong, 25th ed/p.141)Substance P#Location- primary afferent neurons in the spinal cord, nigrostriatal system, hypothalamus#Responsible for axon reflex, peristalsis, pain transmission#Receptors- neurokinin receptors (NK1 -NK3 )